A 25 year old male patient complains of pain in the lower back tooth region. History of similar complaint 6 months ago.
Intra-oral examination reveals pericoronitis with 36. An IOPA is taken with the same tooth. During film processing, the thermometer in the manual processing tank reads 68◦F. The approximate time to keep the x-ray film in the developer solution is?
1. 2 minutes
2. 3 minutes
3. 4 minutes
4. 5 minutes

Correct answer: 4. 5 minutes

Explanation: Processing films at either higher or lower temperatures and for longer or shorter times than recommended by the manufacturer reduces the contrast of the processed film.